Dysfunction of tympanic membrane is characterized by all except:
1. Normal 'cone of light'
2. Retracted TM
3. Non prominent umbo
4. Prominent malleolar folds

Correct answer: 1. Normal 'cone of light'

Explanation: Retracted Tympanic MembraneIt is the result of negative intratympanic pressure when Eustachian tube is blockedCharacteristicsIt appears dull and lusterlessCone of light is absent or interruptedHandel of malleus appears foreshoenedLateral process of malleus becomes more prominent Anterior and posterior malleal folds become sickle shaped It is immobile or has limited mobility when tested with pneumatic otoscope or siegle's speculum.Features of Normal Tympanic MembraneIt is shiny and pearly grey in colourHas concavity on its lateral surfaceCone of light seen in antero -- inferior quadrantIt's transparency variesIt is mobile when tested with pneumatic otoscope or siegle's speculum.